Drug most useful in the treatment of obsessive compulsive disorder is:
1. Amoxapine
2. Fluoxetine
3. Doxepin
4. Dothiepin

Correct answer: 2. Fluoxetine

Explanation: Fluoxetine